Which of the following is true about erythema multiforme:
1. Triggered mainly by HIV infection
2. Target lesions are seen
3. Full blown prodromal symptoms
4. Involvement of mucosa more common

Correct answer: 2. Target lesions are seen

Explanation: Ans. B: Target lesions are seen Typical lesion of erythema multiforme is a target lesion, which consists of 3 concentric components 1) central dusky erythema, sometimes surmounted with a vesicle/ bulla, 2) pale edematous ring and 3) erythematous halo "Erythema" in dermatology: Erythema induratum: Bazins disease Erythema nodosum: Multisystemic disorders e.g. sarcoidosis Erythema chronicum migrans: Lymes disease